In addison's disease, most diagnostic test is:
1. Serum Na+, K+, rennin
2. Serum Na+, K+, saline suppression
3. Serum creatinine/urea ratio
4. ACTH stimulation test

Correct answer: 4. ACTH stimulation test

Explanation: Answer is D (ACTH stimulation test): The diagnosis of Adrenal insufficiency should be made only Hith A C'TH stimulation testing - Harrison's ACTH stimulation test / Cosvntropin stimulation test Synthetic ACTH (Cosyntropin) is given parentrally in a dose of 250 tg (or 0.25 mg) Serum is obtained for cortisol between 30 to 60 minutes after Cosyntropin is administered Cortisol levels should be greater than 495 mmol/L (> 18pg/dL) Cortisol levels >495 exclude the diagnosis of Addison's disease while cortisol levels < 495 suggest a possible diagnosis of Adrenal insufficiency (primary or secondary).